All of the following have receptors which are transcription factors except -
1. Insulin
2. Estrogen
3. Glucocorticoids
4. Vit D

Correct answer: 1. Insulin

Explanation: Ans. is 'a' i.e., Insulin Transcription factors are intracellular (cytoplasmic or nuclear) soluble proteins which respond to lipid soluble chemical messengers that penetrate the cell. o All steroidal hormones (glucocorticoids, mineralocorticoids, androgens, estrogens, progesterone), thyroxine, vit D and vit Afunction in this manner.